Which of the following is not a feature of constitutional growth delay?
1. Normal height velocity
2. Normal bone age
3. Delayed Puberty
4. Final height normal

Correct answer: 2. Normal bone age

Explanation: Distinction between constitutional delay in growth and familial short stature Feature Constitutional growth delay Familial short stature Height Short Short Height velocity Normal Normal Family history Delayed puberty Short stature Bone age Less than chronological age Equal to the chronological age Puberty Delayed Normal Final height Normal Low but normal for target height